Proliferative glomerular deposits are found in
1. Amyloidosis
2. IgA nephropathy
3. Diabetes mellitus
4. Membranous glomerulonephritis

Correct answer: 2. IgA nephropathy

Explanation: IgA nephropathy is an immune complex-mediated glomerulonephritis defined by the presence of diffuse mesangial IgA deposits often associated with mesangial hypercellularity. ref - Harrisons internal medicine 20e pg2135-2140